Devesh is working as a CEO in a company. He has a traveling job. He is a known diabetic, controlled on oral hypoglycemic drugs. On his recent visit to the doctor, his blood pressure was found to be 164/102 mm Hg. Most suitable drug for this patient should be?
1. Propanolol
2. Enalapril
3. Clonidine
4. Hydrochlorthiazide

Correct answer: 2. Enalapril

Explanation: ACE inhibitors (Enalapril) are safe and effective agents in diabetic patients with hypertension. Thiazides and b-blockers (Propanolol) are contraindicated in diabetic patients. As the patient has frequent travelling job, he is likely to miss the doses. Therefore, clonidine should be avoided to prevent rebound hypertension.